SHBG is decreased in
1. Hyperthyroidism
2. Increased androgen
3. Increased estrogen
4. Pregnancy

Correct answer: 2. Increased androgen

Explanation: Sex hormone-binding globulin (SHBG),a plasma b-globulin, produced by the liver, which binds testosterone and, with a weaker affinity, estrogen; serum levels of SHBG in women are twice those found in men; serum concentrations are increased in certain types of liver disease and in hyperthyroidism but are decreased with advancing age, by androgens, and in hypothyroidism.Ref: Ganong's review of medical physiology;24th edition; page no:-427